Drugs of the choice for central diabetes insipidus is
1. Desmopressin
2. Leuprolide
3. Thiazide diuretics
4. Insulin

Correct answer: 1. Desmopressin

Explanation: *Desmopressin is treatment of choice for central diabetes insipidus. *It acts selectively at V2 receptors to increase urine concentration and decrease urine flow in a dosedependent Manner. *It is also more resistant to degradation than AVP and has a three- to fourfold longer duration of action. *Desmopressin can be given by IV or SC injection,nasal inhalation,or oral tablet.